Reinke's crystals are found in :
1. Arrhenoblastoma
2. Granulosa cell tumor
3. Dysgerminoma
4. Hilus cell tumor

Correct answer: 4. Hilus cell tumor

Explanation: Ans. is d i.e. Hilus cell tumour